Side effects of oxygen therapy are all except:
1. Absorption atelactasis
2. Increased pulmonary compliance
3. Decreased vital capacity
4. Endothelial damage

Correct answer: 2. Increased pulmonary compliance

Explanation: B i.e., Increased pulmonary compliance Hyperoxia (oxygen toxicity) may lead to hypoventilation, hypercapnia (but not necessarily hypoxia), absorption atelectasis, decreaed vital capacity, deterioration of pulmonary compliance & blood gasesQ, interstitial edema, pulmonary fibrosis, tonic clonic seizure & retinopathy of prematurity d/t free radicle induced damage of sulfhydryl group enzymes, endotheliumQ, epithelium and surfactant systems